Peptide bond is formed between:-
1. Carboxyl group on one amino acid and the R-group of adjacent amino acid
2. Carboxyl group on both amino acids
3. Amino group on one amino acid and the carboxyl group of the adjacent amino acid
4. The amino group of both amino acids

Correct answer: 3. Amino group on one amino acid and the carboxyl group of the adjacent amino acid

Explanation: Proteins are polypeptides Series of amino acids linked peptide bonds A peptide bond is a special type of amide bond between the a-carboxyl group of one amino acid and the a-amino group of the adjacent amino acid.